Which is not supplied by pelvic splanchinic nerves
1. Rectum
2. Urinary bladder
3. Appendix
4. Uterus

Correct answer: 3. Appendix

Explanation: C i.e. Appendix